Essential fatty acid
1. Linoleic acid
2. Palmitoleic acid
3. Oleic acid
4. Arachidonic acid

Correct answer: 1. Linoleic acid

Explanation: Linoleic and a-linolenic acids are the only fatty acids known to be essential for the complete nutrition of many species of animals, including humans, and are termedthe nutritionally essential fatty acids. In most mammals, arachidonic acid can be formed from linoleic acid.Ref: Harper 9e pg: 238